All are true about long flexor tendons except:
1. Flexor digitorum profundus is inserted to distal phalanx base
2. Flexor digitorum superficialis attached to the sides of middle phalanx
3. Damage to tendons involves formation of tenoma during repair
4. Good results if tendon sheath is damaged

Correct answer: 4. Good results if tendon sheath is damaged